Linear accelerator produces
1. X-rays
2. γ-rays
3. α-particles
4. β-particles

Correct answer: 1. X-rays

Explanation: X-rays - Linear accelerator.
γ-rays - emitted by radioactive materials.